Campimetry (Scotometry) is performed in the visual field area of:
1. 50deg
2. 30deg
3. 60deg
4. 90deg

Correct answer: 2. 30deg

Explanation: Ans. 30deg